Superior part of IVC develops from which part?
1. Right vitelline vein
2. Subcardinal vein
3. Anterior cardinal vein
4. Sacrocardinal vein

Correct answer: 1. Right vitelline vein

Explanation: Anterior cardinal vein and subcardinal vein will be degenerated during development where as sacrocardinal segment forms the inferior part. Reference: TEXTBOOK OF CLINICAL EMBRYOLOGY.... VISHRAM SINGH SECOND EDITION....PAGE NO:245